Which antiepileptic drug is least secreted in breast milk ?
1. Ethosuximide
2. Clonazepam
3. Gabapentin
4. Carbamazepine

Correct answer: 2. Clonazepam

Explanation: Ans. is 'b' i.e., Clonazepam